Which of the following anaesthetic drugs is contraindicated in chronic renal failure –
1. Morphine
2. Fentanyl
3. Pethidine
4. Atracurium

Correct answer: 3. Pethidine

Explanation: Pethidine (Meperidine) is metabolized to form normeperidine (long half life) which is excreted by the kidney. Administration of pethidine to a patient with Chronic Renal Failure causes toxic accumulation of this metabolite and is hence contraindicated.